Restless leg syndrome seen in -
1. Chronic renal failure
2. hyperkalemia
3. Hypocalcemia
4. Hyperphosnhatfrni

Correct answer: 1. Chronic renal failure

Explanation: RESTLESS LEG SYNDROME - The four symptoms required for diagnosis are- Urge to move the legs usually caused or accompanied by an unpleasant sensation( creepy crawly feeling ,paresthesia or burning) in legs. Symptoms that begin or worsen with rest Partial or complete relief by movement Worsening during evening or night. Primary RLS -autosomal dominant Secondary RLS-associated with pregnancy ,renal failure, anemia, ferritin deficiency, peripheral neuropathy pathogenesis- disordered dopamine function which may vert peripheral or central, in association with abnormality of iron metabolism . Ref:Harrison 20 th edition pg no 3140